Relationship between incidence and prevalence -
1. Incidence = Prevalence x Duration
2. Prevalence = Incidence x Duration
3. Incidence = Prevalence + Duration
4. Prevalence = Incidence + Duration

Correct answer: 2. Prevalence = Incidence x Duration

Explanation: Ans. is 'b' i.e., Prevalence = Incidence duration * Prevalence depends upon 2 factorsi) Incidenceii) Duration of illnessPrevalence - Incidence x mean duration.